Neuromuscular transmission is affected by ?
1. Sulfonamide
2. Nitrofurantoin
3. INH
4. Streptomycin

Correct answer: 4. Streptomycin

Explanation: Ans. is 'd' i.e., Streptomycin All aminoglycosides reduce Ach release from the motor nerve endings. They interfere with mobilization of centrally located synaptic vesicles to fuse with the terminal membrane (probably by antagonizing Ca2+) as well as decrease the sensitivity of the muscle end plates to Ach. Neomycin and streptomycin have higher propensity than kanamycin, gentamycin or amikacin, while tobramycin is least likely to produce this effect.